Post-tetanic potentiation is due to -
1. Hyperpolarization of muscle fibres
2. Rapid K+ efflux
3. Increased availability of Ca++
4. Rapid Na+ influx

Correct answer: 3. Increased availability of Ca++

Explanation: Ans. is 'c' i.e., Increased availability of Ca++ "Repetitive stimulation enhances force development due to rise in intracellular Ca++, a phenomenon called posttetanic potentiation. It is due to increased phosphorylation of myosine light chain with increased number of cross bridges."